Among the toxin produced by clostridium botulinum, the non neurotoxic one is -
1. A
2. B
3. C1
4. C2

Correct answer: 4. C2